Primary amenorrhoea is most commonly associated with:
1. Developmental defect of the genital tract
2. Tuberculosis
3. Endocrine disorders
4. Chromosomal abnormality

Correct answer: 4. Chromosomal abnormality